Protrusion of tongue not possible in damage of ?
1. Styloglossus
2. Hyoglossus
3. Palatoglossus
4. Genioglossus

Correct answer: 4. Genioglossus

Explanation: Ans. is 'd i.e., Genioglossus